Chemical name for estasy is -
1. MDMA
2. MDHA
3. EDHA
4. MDAM

Correct answer: 1. MDMA

Explanation: Ecstasy is a designer drug used in rave parties Drugs Street names MDMA(3,4-methylenedioxymethamphetamine) Ecstasy, X, M,rolls GHB (gamma-hydroxybutyrate) G, liquidecstasy, soap Flunitrazepam (Rohypnol) Mexicanvalium, circles Ketamine (Ketalar) K, Special K,jet Ref: Rave drugs, Wikipedia.